Recurrent infection leads to which calculi -
1. Struvite
2. Calcium Oxalate
3. Calcium Phosphate
4. Cysteine

Correct answer: 1. Struvite

Explanation: Ans. is 'a' i.e., Struvite "Struvite stone tends to grow in alkaline urine * esp. when proteus organisms are present which split urea to ammonia ".Struvite Stoneso Calcium phosphate can be combined with ammonium and magnesium to form the triple phosphate calculus* ie Calcium amnomium magnesium phosphate also k/a struvite stones.# Smooth and dirty white and soltitary*.# Seen in alkaline urine esp with proteus infection which split urea to ammonia.o This type of calculus may enlarge to fill all or most of the renal collecting system forming a staghorn calculus*.